Which of the following is false about lip carcinoma?
1. Smoking is a risk factor
2. More common in lower lip
3. Lowe lip Ca has worst prognosis among all oral cancers
4. Distant metastasis is late

Correct answer: 3. Lowe lip Ca has worst prognosis among all oral cancers

Explanation: Lower lip cancer which is more common and has best prognosis among all oral cancers.